The poison that can be detected in hair/bones long after death is:
1. Lead
2. Mercury
3. Arsenic
4. Cannabis

Correct answer: 3. Arsenic

Explanation: Ans. Arsenic